Port wine stain is seen in -
1. Von Hippel Lindau Syndrome
2. Sturge Weber Syndrome
3. Danys Drash Syndrome
4. Holt Oram Syndrome

Correct answer: 2. Sturge Weber Syndrome

Explanation: Ans. is 'b' i.e., Sturge Weber Syndrome Sturge Weber Syndromeo It is one of the hereditary neurocutaneous syndromes o Characterized by:a. A large unilateral cutaneous angioma (port wine stain) of the faceb. Angiomas in brain involving the ipsilateral cerebral hemisphere and meninges.c. Adrenal pheochromocytomad. Cerebral angioma leads to cortical atrophye. The angiomas are visible radiologically due to its characteristic linear rail-track or tram-track calcification*.